Gonadal sex of the fetus is determined by :
1. Secretion of testosterone
2. Secretion of antimullerian hormones
3. Sex determining region on the 'Y' chromosome
4. Secretion of estrogen

Correct answer: 3. Sex determining region on the 'Y' chromosome

Explanation: Sex determining region on the 'Y' chromosome